Most uncommon type of latent strabismus is:
1. Esophoria
2. Exophoria
3. Hyperphoria
4. Cyclophoria

Correct answer: 4. Cyclophoria

Explanation: Ans. Cyclophoria